Most common cause of acute UTI:
1. E.coli
2. Klebsiella
3. Strep. faecalis
4. Staph. saprophyticus

Correct answer: 1. E.coli

Explanation: → Acute uncomplicated UTI:-  

Escherichia coli– cause about 80% of UTI. 

 
→ 20% UTI caused by:- 

Gram negative enteric bacilli – Klebsiella proteus. 
Gram positive cocci – Streptococcus faecalis. 
Staphylococcus saprophyticus - restricted to infection in young sexually active women.